What is the most common immunosuppressant regimen used in renal transplant for maintainence?
1. Cacineurin inhibitors + Purine antagonists + Glucocorticoids
2. Cyclophosphamide + Purine antagonists + Glucocorticoids
3. Glucocorticoids + Cyclophosphamide
4. Cacineurin inhibitors + Purine antagonists + Basliximab

Correct answer: 1. Cacineurin inhibitors + Purine antagonists + Glucocorticoids

Explanation: Answer- A. Cacineurin inhibitors + Purine antagonists + GlucocorticoidsMaintenance immunosuppression for renal transplantation t)?ically consists of 3 types of drugs in combination: a glucocorticosteroid, purine antagonist (azathioprine or mycophenolate mofetil), and calcineurin inhibitor (cyclosporine or tacrolimus).